Rhinitis medicamentosa is due to-
1. Nasal decongestants
2. Steroids
3. Antihistaminics
4. Surgery

Correct answer: 1. Nasal decongestants